All among the following are true about Papilledema EXCEPT :
1. Earliest sign is enlargement of blind spot
2. Circumferential folds of retinal nerve fiber layer
3. Atrophic papilledema occurs 6-9 months after initial attack
4. Bilateral non inflammatory disc edema with increased ICT

Correct answer: 1. Earliest sign is enlargement of blind spot

Explanation: Blurring of margins of optic disc is the earliest sign of papilledema. Papilledema B/L non inflammatory disc edema with increased ICT. |sed ICT - disturbance in axoplasmic flow. Dilation & tortuosity of vessels. Elevation of disc. Headache, morning stiffness, projectile vomiting. Enlargement of blind spot. Paton's line (circumferential folds of retinal nerve fiber layer ). Pseudotumor cerebri: Raised ICT a/w papilledema, seen in patients without any intracranial lesion. Atrophic papilledema occurs 6-9 months after initial attack (like features of optic atrophy). Papilledema Normal Optic disc